If a flush terminal plane is present in the deciduous
dentition, then the molars will erupt:
1. Initially in class I occlusion
2. Initially in class II occlusion
3. Initially in class III occlusion
4. Initially in end to end

Correct answer: 4. Initially in end to end

Explanation: When the deciduous second molars are in a fIush terminal plane, the permanent first molar erupts initially into a cusp-to-cusp relationship, which later transforms into a Class I molar relation using the primate spaces. Later, cusp-to-cusp relationship of the permanent first molar can be converted to a Class I relationship by the mesial shift of the permanent first molar following exfoliation of the primary molar and thus making use of the Leeway space (late mesial shift).